Treatment of choice for cyanide poisoning is:
1. NaHCO3
2. KMnO4
3. NaCI
4. Sodium nitrite followed by thiosulphate

Correct answer: 4. Sodium nitrite followed by thiosulphate